Soluble components of complement system account for about
1. 1-2 mg/ml of total serum protein
2. 3-4 mg/ml of total serum protein
3. 5-7 mg/ml of total serum protein
4. 7-8 mg/ml of total serum protein

Correct answer: 2. 3-4 mg/ml of total serum protein